Anti retro viral drug causing urinary stones:
1. Zidovudine
2. Lamivudine
3. Indinavir
4. Nelfinavir

Correct answer: 3. Indinavir

Explanation: Ans: c (Indinavir) Ref: Harrison, 16th ed, p. 1127; 17th ed, p. 1192Indinavir is the antiretroviral drug which causes urinary stones.Classification of antiretro viral drugNucleoside reverse transcriptase inhibitors (NRTI)* Zalcitabine* Didanosine* Lamivudine* Zidovudine* Stavudine* Abacavir* EmtricitabineProtease inhibitors* Indinavir* Saquinavir* Ritonavir* Nelfinavir* LopinavirFusion inhibitorsEnliiviritideNon nucleoside reverse transcriptase inhibitors (NNRTI)* Nevirapine* Efavirenz* DelavirdineNucleotide analogueTenefovirAdefbvirSide effects of antiretroviral drugsNRTIPeripheral neuropathy-Stavudine> Zalcitabine> DidanosinePancreatitis-Didanosine> Zalcitabine> StavudineHepatic steatosisAnaemia / neutropeniaProtease InhibitorsGastro intestinal intoleranceFat redistributionHyperlipidaemiaInsulin resistanceIndinavir-Renal stones, crystalluria, hyperbilirubinaemiaRitonavir-Perioral paraesthesiaMyopathyZalcitabine-mouth ulcersZidovudine-nail pigmentationAbacavir-Hypersensitivity.NNRTIRashSteven Johnson syndromeEfavirenz-vivid dreamsNevirapine-hepatitisFusion inhibitors-hypersensitivity.